Which of the following is an effect of grapefruit juice on drug metabolism ?
1. Enzyme inducer
2. Enzyme inhibitor
3. Inhibits tubular secretion
4. Inhibits tubular reabsorption

Correct answer: 2. Enzyme inhibitor

Explanation: Grapefruit juice contains furano cumarins and narangin that are CYP3A4 inhibitors.